Epidemic dropsy is caused by
1. Sanguinarine
2. Ergot
3. Alkaloid
4. BOAA

Correct answer: 1. Sanguinarine

Explanation: Ans. (a) Sanguinarine